Which among the following organisms causes Buruli ulcer?
1. M. Marinum
2. M. Ulcerans
3. M. kansasii
4. M. Smegmatis

Correct answer: 2. M. Ulcerans

Explanation: Ans. B. M. UlceransM. Ulcerans causes Buruli ulcer.* It starts as a nodule or papule which progresses further to form a shallow necrotic ulcer.* Children (5-15 years old) have the highest incidence of Buruli ulcers, with most lesions on the lower extremities.Image: Extensive Buruli ulcer